A 60 year female present with tender irreducible mass immediately bellow and lateral to the pubic tubercle. plain abdominal x- ray shows intestinal obstruction
1. Small bowel carcinoma
2. Adhesions
3. Strangulated inguinal hernia
4. Strangulated femoral hernia

Correct answer: 4. Strangulated femoral hernia